A wave in JVP is due to ?
1. Atrial systole
2. Atrial diastole
3. Ventricular systale
4. Ventricular diastole

Correct answer: 1. Atrial systole

Explanation: Ans. is 'a' i.e., Atrial systole